Which of the following is seen in exit wound?
1. Inverted margins
2. Beveled outer table
3. Dirt collar
4. Tattooing

Correct answer: 2. Beveled outer table

Explanation: ANSWER: (B) Beveled outer tableREF: Textbook Of Forensic Medicine and Toxicology: Principles and Practice, By Vij, page 324 Entry woundExit woundSizeSmaller than bullet (when near), Larger than bullet (distant)Larger than bullet (when near), Smaller than bullet (distant)MarginsInvertedEvertedProtrusion of fatAbsentPresentHemorrhageLessMoreSkull boneBeveled inner tableBeveled outer tableSingeing, Blackening, Burning, Tattooing, Grease/dirt collarPresentAbsent